Structures passing through the aortic hiatus of diaphragm are:
1. Aorta
2. Azygos vein
3. Thoracic duct
4. All

Correct answer: 4. All

Explanation: A. i.e. Aorta; B. i.e. Azygous Vein; C. i.e. Thoracic duct